Bilateral metastatic ovarian tumor from gastrointestinal malignancies is known as:
1. Theca cell tumour
2. Fibromas
3. Granulosa cell tumour
4. Krukenberg tumor

Correct answer: 4. Krukenberg tumor

Explanation: Malignant tumors that metastasize to the ovary are almost invariably bilateral. The term Krukenberg tumor refers to a metastatic mucinous/signet ring cell adenocarcinoma of the ovaries that typically originates from primary tumors of the intestinal tract, characteristically the stomach. Ovarian metastases often represent a late disseminated stage of the disease in which other hematogenous metastases are also found Ref: Hoffman B.L., Schorge J.O., Schaffer J.I., Halvorson L.M., Bradshaw K.D., Cunningham F.G., Calver L.E. (2012). Chapter 35. Epithelial Ovarian Cancer. In B.L. Hoffman, J.O. Schorge, J.I. Schaffer, L.M. Halvorson, K.D. Bradshaw, F.G. Cunningham, L.E. Calver (Eds), Williams Gynecology, 2e.